Disadvantage of shoulder finish line is
1. It is less conservative
2. It is difficult to prepare
3. Doesn’t Provide bulk of material
4. All of the above

Correct answer: 1. It is less conservative